Contraceptive method of choice in lactating mothers is
1. Barrier method
2. Progesterone only pills
3. Oral contraceptive pills
4. Lactational amenorrhea

Correct answer: 2. Progesterone only pills

Explanation: Progesterone only pills or mini pill Pills that contain very low doses of progestin, do not contain estrogen, and so can be used throughout the period of breastfeeding.These pills work primarily by thickening cervical mucus, disrupting the menstrual cycle, and preventing the ovulation.Reference: Mudaliar and Menon's clicks obstetrics,12th edition, page no:452